Satyriasis is?
1. Decreased sexual desire in a female
2. Increased sexual desire in a female
3. Decreased sexual desire in a male
4. Increased sexual desire in a male

Correct answer: 4. Increased sexual desire in a male

Explanation: Ans is 'd' i.e. Increased sexual desire in a male Disorder of sexual desirei) Excessive sexual desire - Satyriasis in males and nymphomania in women.ii) Hypoactive sexual desire - Frigidity